A lady gets pregnant even if she was on contraceptive pills, she is suspected to consume
1. Rifampicin
2. Ciprofloxacin
3. Streptomycin
4. None of the above

Correct answer: 1. Rifampicin

Explanation: This table summarises important points for neet
5. Essential medicines are the drugs that cater to priority health-cam needs of a population. Most of these are formulated as single compounds.
6. Important drugs causing hemolysis in a patient with G-6-PD deficiency are primaquine, sulfonamides, dapsone and methylene blue.
7.